Full dispersion is seen in which of the following
1. Full chocked
2. Half chocked
3. Unchocked
4. All of the above

Correct answer: 3. Unchocked

Explanation: Choking Reduction of diameter at the muzzle end of the barrel of a shotgun is called choking Choking reduces the dispersion of pellets and holds the pellets together for a longer distance. Choking is done by adjustable and replaceable extensions. Barrel may choke bore or non-choke bore Choke-bore means the diameter of the barrel is reduced at the muzzle end. There are different degrees of choking like full choke, half choke, three-quarter choke, quarter choke. Ref: FORENSIC MEDICINE AND TOXICOLOGY DR PC IGNATIUS THIRD EDITION PAGE 137